A child is suspected of having an autistic disorder. All are true about autism, EXCEPT:
1. Age between 18-24 months
2. Child is able to interact
3. Repetitive behavior is seen
4. Language is not well developed

Correct answer: 2. Child is able to interact

Explanation: Ans.BClinical criteria for the diagnosis of autism are based on the DSM-IV TR and ICD10 specifications. A diagnosis of autism is based on symptoms in three areas: difficulties in reciprocal social interaction, difficulties in communication, and the presence of restricted and repetitive behaviors or interests.Children with autism often appear relatively normal in their development until the age of 18-24 months, when parents may notice delays in language, play or social interaction. Language develops slowly or not at all. Social interaction is very poor. There is no eye contact or smile.